An infant presented with erythematous lesions on cheek, extensor aspect of limbs, mother has history of bronchial asthma, the probable diagnosis is –
1. Air borne contact dermatitis
2. Atopic dermatitis
3. Seborraehic dermatitis
4. Infectious eczematoid dermatitis

Correct answer: 2. Atopic dermatitis

Explanation: Atopic dermatitis (Infantile form. i.e. Infantile eczematous dermatitis)

Starts at the age of 2-3 months
Itchy papules and vesicles, lesions are intensively prurititic
Distribution Begins on face but can involve rest of the body, sparing diaper area (napkin rash is absent)
After face, neck and extensor surfaces (of knee, elbow) and groin are involved
Personal or family history of other atopic conditions -f Asthma, Haye fever, allergic rhinitis or conjuctivitis, urticaria, food allergies.